Which of the following feature is not included in Bergmann's Triad?
1. Disorientation
2. Cyanosis
3. Coma
4. Bradycardia

Correct answer: 4. Bradycardia

Explanation: Bergmann triad consists of:- Cerebral--Delirium, confusion, convulsions, disorientation,stupor,coma Cutaneous--Petechial rashes on chest Cardiopulmonary--Dyspnea, tachypnea, tachycardia, cyanosis, Hypoxia, hypoxemia It is seen in Fat embolism syndromme.